Emporiatrics is the study of health of:
1. Children
2. Old age
3. Travellers
4. Animals

Correct answer: 3. Travellers

Explanation: Ans: c (Travellers) Ref: Park, 19th edEmporiatrics is the study of health of travellers